Daily release of ho rmonefrom mirena is -
1. 10 microgram
2. 20 microgram
3. 30 microgram
4. 40 microgram

Correct answer: 2. 20 microgram

Explanation: Ans. is 'b' i.e., 20 microgram Mirena:o It is levennogesterol releasing intrauterine contraceptive device system.o It measures about 32 x 32 mm.o It has a life span of 5 yearso It contains 52 mg of levenogesterol.o It releases 20 meg/ day of levenogesterol.